Most common presentation in nasopharyngeal carcinoma is with:
1. Epistaxis
2. Hoarseness of voice
3. Nasal stuffiness
4. Cervical lymphadenopathy

Correct answer: 4. Cervical lymphadenopathy

Explanation: The most common complain at presentation is the presence of an upper neck swelling. Unilateral neck swelling is much more common although bilateral metastasis also occur.